Vineyard sprayer's lung is due to?
1. Thallium toxicity
2. Chronic CuSO4 poisoning
3. Chronic arsenic poisoning
4. Potassium permanganate toxicity

Correct answer: 2. Chronic CuSO4 poisoning

Explanation: Ans. (b) Chronic CuS04 poisoningRef. Forensic medicine and toxicology R.N. Karmakar, 3/e, p 94, Clinical immunotoxicology by David S. Newcombe, p 233